For treatment of the ectopic-vesicle, which of the following bone is divided to reach the site ?
1. Pubic rami
2. Iliac bone
3. Ischium bone
4. Symphysis

Correct answer: 2. Iliac bone

Explanation: Ans. is 'b' i.e., Iliac bone